Which one of the following is NOT an epithelial tumour of the ovary:
1. Serous cystadenoma
2. Brenner tumour
3. Clear cell tumour
4. Endodermal sinus tumour

Correct answer: 4. Endodermal sinus tumour

Explanation: Ans. D i.e. Endodermal sinus tumour Endodermal sinus (yolk sac) tumour is a rare tumour but the second most common of germ cell origin